Causes of pulsus bisferiens
1. LV failure
2. Cardiac tamponade
3. Hypertrophic cardiomyopathy
4. Constrictive pericarditis

Correct answer: 3. Hypertrophic cardiomyopathy

Explanation: Pulsus bisferiens(2 systolic peaks) is seen in

Aortic regurgitation +/aortic stenosis 
Hypertrophic cardiomyopathy